Which statement best completes this sentence? The porta hepatis contains:
1. The hepatic artery on the right side.
2. The common hepatic duct posteriorly.
3. The portal vein anteriorly.
4. Parasympathetic fibres from the vagus.

Correct answer: 4. Parasympathetic fibres from the vagus.

Explanation: The porta hepatis is a deep fissure in the inferior surface of the liver through which all the neurovascular structures (except hepatic veins) and hepatic ducts enter or leave the liver. The parasympathetic fibers that supply the liver run in the vagus nerve. The hepatic duct lies in front and to the right. The hepatic artery lies anteriorly and to the left, making it the most accessible structure surgically. The portal vein behind and between the duct and artery. .